Which intravenous anesthetic is a potent bronchodilator/ choice of agent in asthmatic patient:
1. Propofol
2. Thiopentone
3. Ketamine
4. Midazolam

Correct answer: 3. Ketamine